Organ of chievity is seen near the:
1. Medial surface of the mandible
2. Naso palatine foramen
3. Mental foramen
4. Foramen caecum

Correct answer: 1. Medial surface of the mandible